Karyotyping of foetus may be done from all of the following except :
1. Lymphocyte
2. Monocyte
3. Amniocyte
4. Fibroblast

Correct answer: 2. Monocyte

Explanation: B i.e. Monocyte Although human chromosome may be visualized (karyotyping) in any growing tissue such as bone marrow, skin, fibroblast, amniotic fluid cells or chorionic villusQ; they are most conveniently studied in peripheral blood lymphocytes.Q